C3 convertase acts on -
1. C4b2b
2. C4b2B3b
3. C4b
4. C3

Correct answer: 4. C3

Explanation: Ans- (D) C3 Reference- Jawetz Melnick & Adelbergs Medical Microbiology - 27E (2016) Page 142. The latter protein (C4b2b) is an active C3 convertase, whichsplits C3 molecules into two fragments: C3a and C3b. C14b2a is known as C3 convertase which activates C3 to C3a (chemotactic and anaphylotoxin) and C3b